Indications of lung transplantation:
1. COPD
2. Alpha-1 antitrypsin deficiency
3. Cystic fibrosis and bronchiectasis
4. All of the above

Correct answer: 4. All of the above

Explanation: Ans. (d) All of the aboveRef: Sabiston 19th edition, Page 1589 Indications of Lung transplant:* COPD* Alpha 1 Anti trypsin deficiency* Pulmonary fibrosis* Primary pulmonary hypertension* Cystic fibrosis* Bronchiectasis